Acute loss of vision in case of alcoholic pancreatitis:
1. Purtscher's retinopathy
2. Acute congestive glaucoma
3. Central retinal artery obstruction
4. Optic neuritis

Correct answer: 1. Purtscher's retinopathy

Explanation: Ans. (a) Purtscher's retinopathyRef: Yanoff & Duker 4/e, p. 679It is a blockage of the retinal capillaries by emboli leading to multiple haemorrhages and cotton wool spots throughout the retina.